Most suitable pontic
1. Should have passive contact with ridge and no blanching of tissue
2. Should contact with some blanching of tissue
3. Ridge area scrapped in cast and pontic in gold alloy
4. Ridge area scrapped in cast and pontic in porcelain

Correct answer: 1. Should have passive contact with ridge and no blanching of tissue